Diagnosis of carcinoid tumour is done Urinary estimation of:
1. VMA
2. Metanephrines
3. Catecholamines
4. 5HIAA

Correct answer: 4. 5HIAA

Explanation: Answer is D (5HIAA): Carcinoid Tumors Carcinoid tumors are associated with elevated levels of metabolites of Tryptophan/ serotonin which include 5HIAA, 5HT and5HTP. Pheochromocytomas Pheochromocytomas are associated with elevated levels of catecholamines and their metabolites which include Vanillylmandelic acid (VMA)and metanephrines The diagnosis of Typical carcinoid syndrome is suggested by elevated levels of 5HIAA The diagnosis of Atypical Carcinoid Syndrome is suggested by elevated levels of 5HTP. established by elevated levels of 5HIAA.